Average mercury content in well condensed amalgam
should not exceed:
1. 30%
2. 40%
3. 50%
4. 60%

Correct answer: 3. 50%